MSAFP( Maternal Serum Alpha-Fetoprotein ) is elevated in all of the following except :
1. Neural tube defects
2. Esophageal obstruction
3. Gastroschisis
4. Chromosomal trisomies

Correct answer: 4. Chromosomal trisomies

Explanation: Few conditions in which Elevated Levels of MSAFP are: 1. Neural tube defects 2. Pilonidal Cysts 3. Esophageal or intestinal obstruction 4. Liver necrosis 5. Cystic hygroma 6. Sacrococcygeal teratoma 7. Abdominal wall defects--omphalocele, gastroschisis 8. Urinary obstruction 9. Renal anomalies--polycystic or absent kidneys 10. Multifetal gestation 11. Underestimated gestational age, decreased maternal weight Low Levels of MSAFP are seen with de 1. Some chromosomal trisomies like 18, 21 2. Gestational trophoblastic disease 3. Increased maternal weight 4. Overestimated gestational age